Enterovirus causes
1. Acute hemorrhagic conjunctivitis
2. Acute follicular conjunctivitis
3. Hepatitis
4. Epidemic Keratoconjunctivitis

Correct answer: 1. Acute hemorrhagic conjunctivitis

Explanation: Option 1:is an epidemic form of highly contagious conjunctivitis and is characterized by sudden onset of painful, swollen, red eyes, with conjunctival hemorrhage and excessive tearing. AHC typically is caused by one of two enteroviruses (Coxsackie A24 or enterovirus 70). This disease is transmitted person-to-person usually through contact with contaminated hands or through sharing of contaminated personal-care items. fig:- acute hemorrhagic conjuctivitis Diseases caused by Enterovirus: Enterovirus 68: Pneumonia Enterovirus 70: Acute hemorrhagic conjunctivitis. Enterovirus 71: Pulmonary edema, herpangina, aseptic meningitis, and hand-foot-and mouth disease. Enterovirus 70, 71: Paralysis and encephalitis. Option 2: Acute follicular conjunctivitis is usually associated with: viral (epidemic keratoconjunctivitis, Herpes zoster keratoconjunctivitis, infectious mononucleosis, Epstein-Barr virus infection) chlamydial infections (Inclusion conjunctivitis). Option 3: Hepatitis is caused by hepatotropic virues like Hepatitis A, B, C. Option 4: Epidemic keratoconjunctivitis (EKC) is a viral conjunctivitis caused by a group of adenoviruses.